Cellular oxidation is inhibited by :
1. Cyanide
2. Carbon dioxide
3. Chocolate
4. Carbonated beverages

Correct answer: 1. Cyanide

Explanation: A i.e. Cyanide